Berkesonian bias in a case control study is a bias due to:
1. Presence of confounding factors
2. Different admission rates for different diseases
3. Bias introduced by investigator
4. Patient can not recall or gives false information

Correct answer: 2. Different admission rates for different diseases